All adverse effects of theophylline are mediated by adenosine A1, receptor antagonism except:
1. Cardiac arrhythmias
2. Diuresis
3. Seizures
4. GI discomfort

Correct answer: 4. GI discomfort

Explanation: Theophylline cause bronchodilation 2 mechanism:(1) PDE inhibition(2) Adenosine A1 antagonism Adverse effect of Theophylline Mechanism Nausea and vomiting PDE inhibition Headache PDE inhibition Gastric discomfort PDE inhibition Diuresis Adenosine A1 antagonism Arrythmias PDE inhibition, Adenosine A1 antagonism Seizures Adenosine A1 antagonism